Copper foreign body in the eye, which of the following will be seen
1. Cataract resembling petals of flower
2. Fleisher ring
3. Open angle of glaucoma
4. Pigmentary degeneration of retina

Correct answer: 1. Cataract resembling petals of flower

Explanation: Answer- A. Cataract resembling petals of flowerGrayish-green/golden brown discoloration of peripheral cornea called Kayser-Fleisher ring.Sunflower (Petal of flower) cataract due to deposition of copper under the posterior capsule ofthe lens.